The following methods of diagnosis utilize labelled antibodies except -
1. ELISA (Enzyme Linked Immunosorbent Assay
2. Hemagglutination inhibition test
3. Radioimmunoassay
4. Immunofluorescence

Correct answer: 2. Hemagglutination inhibition test

Explanation: Hemagglutination inhibition offers a convenient method for the detection and quantitation of the antibody to the virus. Labeled antibodies are not used. RIA uses labeled antibody, ELISA uses enzyme-linked antibody and immunofluorescence use fluorescent lalabeledntibody. Reference : Anathanarayan & paniker's 9th edition, pg no:113, 116,501